Palinopsia is seen in occlusion of:
1. M1 Middle cerebral artery
2. M2 Middle cerebral artery
3. P2 Posterior cerebral artery
4. P1 Posterior cerebral artery

Correct answer: 3. P2 Posterior cerebral artery

Explanation: Palinopsia: Persistence of visual image even after shifting gaze. Cause: Occlusion of P2 PCA Visual hallucinations Homonymous hemianopia Along with Palinospia.